All of the following are common reason for periodontitis except:
1. Increases in HLAA9
2. Increase in B15
3. Decrease in HLAA2
4. Increase in HLAA2

Correct answer: 4. Increase in HLAA2